Propaganda is :
1. Knowledge by active learning
2. Facilitates learning
3. Knowledge forced into the mind
4. Group discussion

Correct answer: 3. Knowledge forced into the mind